All the following are the electrocardiographic features of hyperkalemia except
1. Prolonged PR interval
2. Prolonged QT interval
3. Sine wave pattern
4. Loss of P waves

Correct answer: 2. Prolonged QT interval

Explanation: Hyperkalemia pro- duces a sequence of changes (), usually beginning with nar- rowing and peaking (tenting) of the T waves. Further elevation of extra- cellular K+ leads to AV conduction disturbances, diminution in P-wave Ref Harrison 20th edition pg 1421 amplitude, and widening of the QRS interval.